Base of the skul fracture presents with invovlement of the petrous temporal bone, which of the following important sign is seen -
1. Subconjuctival hematoma
2. CSF rhinorrhoea
3. Raccoon eyes
4. Battle sign

Correct answer: 4. Battle sign

Explanation: Ans. is 'd' i.e., Battle sign Battle's sign (or mastoid echymosis) is bruising or ecchymiosis over the mastoids (i.e. behind the ear). Seen in pterous temporal bone base-of-skull fracture. Raccoon's sign or periorbital ecchymosis is seen in subgaleal haemorrhage (d/t frontal trauma)